Pseudo-rosettes are seen in:
1. Retinoblastoma
2. Ophthalmic nodosa
3. Phakolytic glaucoma
4. Trachoma

Correct answer: 1. Retinoblastoma

Explanation: Ans. Retinoblastoma